False about Klinefelter's syndrome:
1. Most common syndrome of sex gene involvement
2. Most common cause of hypothalamic hypogonadotropic failure in males
3. Intellectual disability may be seen
4. Serum FSH levels are consistently high

Correct answer: 2. Most common cause of hypothalamic hypogonadotropic failure in males

Explanation: Ans. Most common cause of hypothalamic hypogonadotropic failure in males